Well recognised side effects of prolonged Phenytoin use include the following except
1. Hirsutism
2. Lymphadenopathy
3. Ataxia
4. Hypoglycaemia

Correct answer: 4. Hypoglycaemia

Explanation: K.D Tripathy essentials of medical pharmacology 7th edition . *At therapeutic levels :-cause hirsutism, -hypersensitivity reactions are rashes,lymphadenopathy,DLE -Megaloblastic anemia,osteomalacia -It inhibit insulin release and cause hyperglycemia *At high level cause ataxia,vertigo,diplopia,nystagmus.